Frequency of 1st heart sound
1. 10-15 Hz
2. 20-25 Hz
3. 25-45 Hz
4. 50 Hz

Correct answer: 3. 25-45 Hz

Explanation: The first sound has a duration of about 0.15 s and a frequency of 25-45 Hz. It is soft when the heart rate is low because the ventricles are well filled with blood and the leaflets of the AV valves float together before systole.Ref: Ganong's Review of medical physiology 25th edition. Page: 542